Thiazide diuretics do not produce ONE of the adverse effects :
1. Hypoglycemia
2. Hyponatremia
3. Hypokalemia
4. Hyperuricemia

Correct answer: 1. Hypoglycemia